Most common presenting symptom of acute arterial occlusion:
1. Pain
2. Pallor
3. Pulselessness
4. Paralysis

Correct answer: 1. Pain

Explanation: Peripheral Arterial Occlusion

Clinical features of peripheral arterial occlusion are classically remembered by 5 Ps: Pain, Pallor, Pulselessness, Paralysis and Paraesthesia (or anesthesia)
Some add 6th P: Poikilothermia or perishing cold
MC presenting symptom of acute arterial occlusion: Pain